The lymphatic drainage of  testes is
1. Inguinal lymph node
2. Mesenteric lymph node
3. Para-aortic lymph node
4. Obturator lymph node

Correct answer: 3. Para-aortic lymph node

Explanation: Blood Supply and Lymphatic Drainage. The testis and epididymis are supplied by the testicular artery, and their veins drain into the pampiniform plexus, which forms the bulk of the spermatic cord. The veins of the pampiniform plexus often become varicose, a condition termed varicocele.